The first reaction that takes place when an orthodontist attempts active tooth movement with a removable appliance is:
1. Pressure and tension zones form in the periodontal ligament
2. Force is applied on the tooth
3. Osteoclasts create undermining resorption
4. Tooth moves by direct resorption

Correct answer: 1. Pressure and tension zones form in the periodontal ligament